Which of the following statements about coagulation factor VII is not true
1. Deficiency is inherited as an Autosomal Recessive trait
2. Deficiency is associated with prolonged APTT
3. Deficiency can be managed by Fresh Frozen plasma
4. Has a shorter half life in comparison to Hageman factor (XII)

Correct answer: 2. Deficiency is associated with prolonged APTT

Explanation: Answer is B (Deficiency is associated with prolonged APTT) Factor VII deficiency is associated with isolated prolongation of PT, APTT is normal in Factor VII deficiency Genetic and laboratory characteristic of inherited coagulation disorders Clotting factor deficiency Inheritance Prevalence in General Population Laboratory Abnormality' aPTI PT TT Minimum Hemostatic le N els Treatment Plasma Half-Life Fibrinogen AR I in 1.000,000 + + + 100 mg/dL Cryoprecipitate 2-4 d Prothrombin AR I in 2.000,000 + + 20-30% FFP/Pa's 3-4 d Factor V AR 1 in 1.000,000 +/- +1- I 5-10"/a HP 36 h Factor I II AR 1 in 500,000 - + - 15-20% FFP/PCCs .1-61r Factor VIII X-linked I in 5.000 + - 30% FAINT concentrates 8-12 h Factor IX X-linked I in 30.000 + - - 30% FIX concentrates 18-24 h Factor X AR I in 1.000,000 +1- +/- - 15-20% FFP/PCICs 40-6(111 Factor XI AR I in 1,000,000 15-20% FFP 40-70h Factor XII AR 'SO + - h h 60 It HK AR ND + Ii h 150 h Prckallikrein AR ND _, 6 h 35 h Factor XIII AR I in 2,000,000 +/- 2-5% Cryptoprecipitate II-14d Values within n srmal range (-) or prolonged (+-) No risk for bleeding, treatment is not indicated HK, high-molecular weight kininogen; AR, autosomal recessive; aPTT, activated partial thromboplastin time; PT, prothrombin time; TT, thrombin time; ND, not determined; FFP. fresh frozen plasma; PCCs, prothrombin complex concentrates.